New York agar is used for ?
1. Salmonella
2. Clostridia
3. Neisseria
4. Bacillus Anthracis

Correct answer: 3. Neisseria

Explanation: Ans. is 'c' i.e., Neisseria New York City (NYC) medium is primarily designed for isolation of pathogenic Neisseria. It also supports the growth of genital mycoplasma (Mycoplasma hominis and Ureoplasma Urealyticum). It is useful in the diagnosis of gonorrhea and mycoplasma infection. It consists of primarily a peptone-corn starch agar-base buffered with phosphates and supplemented with horse plasma, horse hemoglobin, dextrose, yeast autolysate and antibiotics.